Safe diuretic in renal dysfunction is
1. Mannitol
2. Bumetinide
3. Chlorthalidone
4. Acetazolamide

Correct answer: 2. Bumetinide

Explanation: Loop diuretics are safe in renal dysfunction, liver cirrhosis and CCFRef: KDT 7THed Pg 581